Weber's syndrome occurs due to lesions in the(P. J. Mehta
1. Pons
2. Midbrain
3. Medulla oblongata
4. Cerebellum

Correct answer: 2. Midbrain

Explanation: (Mid- brain) (P-J) Mehta (193, 2525-H17th)Penetrating branch to Mid - brain occlusion1. Ipsilateral oculomotor palsy with contralateral hemiplegia (Weber's syndrome)2. Ipsilateral oculomotor palsy with contralateral cerebellar ataxia (Nothnagel syndrome)3. Ipsilateral oculomotor palsy with contra lateral ataxia and choreoathetosis (Benedikt's syndrome)4. Perinaud's syndrome(a) Supranuclear paralysis of elevation(b) Convergence retraction nystagmus (c) Defective convergence(d) Lid retraction (Collier's sign)(e) Skew deviation(f) Light near dissociation5. Unilateral or bilateral intemuclear ophthalmoplegia6. Pseudo abducent palsy7. Peduncular hallucinations8. Decerebrate rigidity - Locked in syndrome and disturbances in consciousness